Superior pancreaticoduodenal artery is a branch of-
1. Hepatic artery
2. Splenic artery
3. Gastroduodenal artery
4. Inferior mesenteric artery

Correct answer: 3. Gastroduodenal artery

Explanation: Superior pancreaticoduodenal artery is a branch of gastroduodenal artery arising from the common hepatic artery. The common hepatic artery is a branch of the coeliac trunk.